Target lesions are characteristic of
1. Dermatitis herpetiformis
2. Sulpha drug reaction
3. Lichen planus
4. Erythema multiformae

Correct answer: 4. Erythema multiformae

Explanation: Target lesions- Iris lesions: these are pathognomic of erythema multiforme. commonly found on the extremities especially hands. there are three zones of color change: 1. central dark or sometimes blistered area 2.surrounded by pale odematous zone 3.inturn rimmed by another zone of odema IADVL textbook of dermatology, principles of clinical diagnosis,page 106.